Depressed # of skull results from -
1. Heavy object with small striking surface
2. Heavy object with large striking surface
3. Fall over the ground
4. Light object

Correct answer: 1. Heavy object with small striking surface

Explanation: Depressed/signature fracture are caused by heavy, weapon with small striking surface eg. hammer.